Use of progestin only pill as a mode of contraception is contraindicated in all of the following conditions, EXCEPT:
1. Lactation
2. Liver tumors
3. Acute liver disease
4. Known breast cancer

Correct answer: 1. Lactation

Explanation: Progestin only pill is an excellent choice of contraception in lactating women. In combination with lactation, it is virtually 100-percent effective for up to 6 months and does not impair milk production. Progestin only pill causes alterations in cervical mucus and on the endometrium, they do not reliably inhibit ovulation. Use of progestin only pill is contraindicated in women with: Breast cancer Acute liver disease Unexplained uterine bleeding Benign or malignant liver tumor Ref: Cunningham F.G., Leveno K.J., Bloom S.L., Hauth J.C., Rouse D.J., Spong C.Y. (2010). Chapter 32. Contraception.